Vitamin K leads to?
1. g-carboxylation of aspartic acid residues to clotting factor 2,7,9 and 10
2. b-carboxylation of glutamic acid residues to clotting factor 2,7,9 and 10
3. alpha - carboxylation of asparatic acid residues to clotting factor 2,7,9 and 10
4. g-carboxylation of glutamic acid residues to clotting factor 2,7,9 and 10

Correct answer: 4. g-carboxylation of glutamic acid residues to clotting factor 2,7,9 and 10

Explanation: Vitamin K leads to g-carboxylation of glutamic acid residues to clotting factor 2,7,9 and 10 Vitamin K is essential for adding carboxyl group to glutamic acid residues on 5 important clotting factors 1. Prothrombin (II) 2. Factor VII 3. Factor IX 4. Factor X 5. Protein C